Popliteus muscle arises from -
1. Lateral surface of medial femoral condyle
2. Lateral surface of lateral femoral condyle
3. Posterolateral aspect of tibia
4. Anterior tibial eminence

Correct answer: 2. Lateral surface of lateral femoral condyle

Explanation: Ans. is 'b' i.e., Lateral surface of lateral femoral condyle Popliteus* Popliteus is a deep muscle of posterior compartment of leg.* Features of popletius are -Origin# Lateral surface of lateral condyle of femur, origin is intracapsular.# Outer margin of lateral meniscus of knee.Insertion# Posterior surface of shaft of tibia above soleal line.Nerve supply# Tibial nerveAction# Ulocks knee joint by lateral rotation of femur on tibia prior flexion.# Accessory flexor of knee.